CABG is done for all of the following indications except -
1. To reduces symptoms
2. To prevent further catastrophes
3. To prolong life
4. To prevent progress of native blood vessel disease

Correct answer: 4. To prevent progress of native blood vessel disease

Explanation: A successful CABG reduces symptoms, prevents catastrophic and prolongs survival.
It does not prevent the progress of native blood vessel disease. In fact, restenosis of the grafted vessel is noted with time.
In CABG, anastomosis of one or both of the internal mammary arteries or a radial artery to the coronary artery distal to the obstructive lesion is carried out.
For additional obstructions that cannot be bypassed by an artery, a section of a vein (usually the saphenous) is used to form a connection between the aorta and the coronary artery distal to the obstructive lesion.